Complications of total thyroidectomy are all, EXCEPT:
1. Hypocalcaemia
2. Hypercalcaemia
3. Hoarseness of voice
4. Parathyroid loss

Correct answer: 2. Hypercalcaemia

Explanation: Nerves, parathyroids, and surrounding structures are all at risk of injury during thyroidectomy. Injury to the RLN may occur by severance, ligation, or traction, but should occur in Hypercalcemia is not a complication of total thyroidectomy. Ref: Lal G., Clark O.H. (2010). Chapter 38. Thyroid, Parathyroid, and Adrenal. In F.C. Brunicardi, D.K. Andersen, T.R. Billiar, D.L. Dunn, J.G. Hunter, J.B. Matthews, R.E. Pollock (Eds), Schwartz's Principles of Surgery, 9e.